Which of the following not pierced during pleural taping?
1. Parietal pleura
2. Visceral pleura
3. Internal intercostal muscle
4. External intercostal muscle

Correct answer: 2. Visceral pleura

Explanation: Ans. b. Visceral pleuraTHORACENTESIS (PLEURACENTESIS OR PLEURALTAP)It is surgical procedure to collect pleural effusion for analysis. A needle or tube is inserted through thoracic wall into the pleural cavity posterior to the midaxillary line one or two intercostal spaces below.The ideal site is seventh, eight, or ninth intercostal space, as this site avoids possible accidental puncture of the lung, liver, spleen and diaphragm.To avoid damage to the intercostal nerve and vessels, the needle is inserted superior to the rib, high enough to avoid the collateral branches.The needle penetrates the following structures: Skin - Superficial fascia - Serratus anterior muscle - External intercostal muscle - Internal intercostal muscle - Endothoracic fascia - Parietal pleuraIntercostal drainage for pleural aspiration